Period of infectivity for Measles is:-
1. 2 days before to 5 days after appearance of rash
2. 1 day before to 1 day after appearance of rash
3. 4 days before to 5 days after appearance of rash
4. Lifelong

Correct answer: 3. 4 days before to 5 days after appearance of rash

Explanation: C. POX- 2 days before to 5 days after appearance of Rash. MEASLES- 4 days before to 5 days after appearance of Rash. RUBELLA- 7 days before symptoms to 7 days after appearance of Rash. MUMPS - 5-6 days before symptoms to 7 days after appearance of symptoms. INFLUENZA - 1-2 days before symptoms to 1-2 days after. DIPHTHERIA - 14-28 days from onset. POLIO - 7-10 days before symptoms to 7-10 after appearance of symptoms.